MC sarcoma in infancy is -
1. Leiomyosarcoma
2. Ewing's sarcom
3. Rhabdomyosarcoma
4. Osteosarcoma

Correct answer: 3. Rhabdomyosarcoma

Explanation: Ans. is 'c' i.e., RhabdomyosarcomaRhabdomyosarcomao The most common soft tissue sarcoma in children is rhabdomyosarcoma.The common site of involvement are:o Head & Neck (25%) -Most commono Genitourinary (22%) - 2nd most commono Extremitieso Retroperitoneum.o Rhabdomyosarcoma is the most common nonocular orbital tumor is young children and is most common urinary bladder malignancy in children